ECT is currently indicated as a line of treatment in the following conditions except:
1. Catatonic schizophrenia
2. Severe depression with psychosis
3. Manic depressive psychosis
4. Obsessive compulsive disorder

Correct answer: 4. Obsessive compulsive disorder

Explanation: ECT is rarely used in the treatment of OCD Electoro-Convulsive therapy Sessions scheduled 2-3 times weekly on nonconsecutive days. Twice-weekly treatments are associated with less memory impairment than thrice-weekly treatments. For a seizure to be effective in the course of ECT, it should last at least 25 seconds. Indications of ECT Depression with suicide risk, stupor, psychotic depression, intolerance to drugs Catatonic schizophrenia Mania Others- Intractable seizures, Delirium,Parkinson disease